Crew haircut appearance in X-ray skull and Gamna Gandy bodies are seen in -
1. G-6-PD deficiency
2. Hodgkin's lymphoma
3. Hereditary spherocytosis
4. Sickle cell anaemia

Correct answer: 4. Sickle cell anaemia

Explanation: The hair on end appearance is seen in


Sickle cell anemia
Hereditary spherocytosis
G-6-PD deficiency 


Among these disorders, Gamma Gandy bodies are seen in sickle cell anemia
Gamma Gandy bodies are found in the spleen.
These are nodules that develop through the organization of splenic micro hemorrhages followed by hemosiderin and calcium deposition.
These are seen in congestive splenomegaly caused by sickle cell anemia, CML, Liver Cirrhosis.